Commonest site of carcinoma tongue is -
1. Dorsum
2. Ventral aspects
3. Anterior 2/3 lateral aspect
4. Tip

Correct answer: 3. Anterior 2/3 lateral aspect